Grave's disease is the most common cause of-
1. Hypothyroidism
2. Hyperthyroidism
3. Thyroiditis
4. None of the above

Correct answer: 2. Hyperthyroidism

Explanation: ref: Ganong's review of medical physiology; 24th edition; page no; 347 Grave's disease an autoimmune disorder which leads to an overactive and enlarged thyroid gland and hyperthyroidism.